c-ANCA is characteristic for -
1. Polyarteritis Nodosa
2. R.P.G.N
3. Henoch's Schonlein Purpura
4. Wegeners granulomatosis

Correct answer: 4. Wegeners granulomatosis